Most common associated injury of fracture medial epicondyle:
1. Elbow dislocation
2. Monteggia fracture dislocation
3. Fracture supracondylar humerus
4. Vascular defecit

Correct answer: 1. Elbow dislocation

Explanation: A i.e. Elbow dislocation Medial epicondylar fractures are most commonly associated (-50%) with elbow dislocationsQ.